In acute anterior uveitis, the pupil is
1. Oval
2. Circular
3. Small, Irregular
4. Large, Irregular

Correct answer: 3. Small, Irregular

Explanation: Pupillary signs in acute iritis: 1. Narrow pupil: It occurs in an acute attack of iridocyclitis due to irritation of sphincter pupillae by toxins. Iris edema and engorged radial vessels of iris also contribute to making the pupils narrow. 2. Irregular pupil shape: It results from segmental posterior synechiae formation. Dilatation of pupils with atropine at this stage results in a festooned pupil. 3. Ectropion pupillae (evertion of pupillary margin).It may develop due to contraction of fibrinous exudateon the anterior surface of the iris. 4. Pupillary reaction becomes sluggish or may evenbe absent due to edema and hyperemia of iris which hamper its movements. 5. Occlusio pupillae results when the pupil iscompletely occluded due to an organization of the exudates across the entire pupillary area. Ref: Khurana; 4th edition; Pg.No.145